Pathognomic features of Maxillary sinusitis is:
1. Mucopus in the middle meatus
2. Inferior turbinate hypertrophy
3. Purulent nasal discharge
4. Atrophic sinusitis

Correct answer: 1. Mucopus in the middle meatus

Explanation: (Mucopus in middle meatus) (182, Dhingra 4th) (209-Maqbool 11th)* In maxillary sinusitis - pus is seen in the middle meatus particularly when the head is kept is down with infected sinus uppermost (maqbool)* Presence of mucopus in the nose is suggestive of sinus infection and its position determines the sinus involved* Most common pathological changes are the result of increased vascular permeability causing hypertrophy of the mucosa which may eventually become polypoidal.* Purulent nasal discharge is the commonest complaint* Occipitomental view (Water's view) is helpful. CT sinus is diagnostic